Gamma glutamate carboxypeptidase is linked with absorption of -
1. Riboflavin
2. Niacin
3. Folic acid
4. Pyridoxine

Correct answer: 3. Folic acid

Explanation: Ans. (c) Folic acid(Ref: Ganong, 25th ed/p.483)Folate in diet is available as polyglutamate formIt is hydrolyzed by gamma glutamyl carboxypeptidase and absorbed